The most common reason for the removal of impacted mandibular third molars:
1. Referred pain
2. Orthodontic treatment
3. Recurrent pericoronitis
4. Chronic periodontal disease

Correct answer: 3. Recurrent pericoronitis